A young tourist presents with a skin lesion after being to Rajastan. He presents with an erythematous lesion on the cheek with central crusting. What is the likely dermatological condition?
1. Cutaneous Leishmaniasis
2. Systemic Lupus Erythematosis
3. Lupus vulgaris
4. Chilblains

Correct answer: 1. Cutaneous Leishmaniasis

Explanation: A typical lesion of Acute Cutaneous Leishmaniasis is papule at the site of the sand fly bite which enlarges and breaks down in the centre. The ulcer usually has a rolled border. When the lesion heals in a year's time it leaves a distinctive depressed hyper pigmented scar. The typical sites are cheeks and arms (exposed areas). Localised Cutaneous Leishmaniasis (LCL) is seen in India in the forests of Rajastan, caused mostly by Leishmania tropica. Himachal Pradesh is reported as a recent focus. Ref: Thieme Clinical Companions Dermatology By Wolfram Sterry, Ralf Paus, Walter H. C. Burgdo; Leishmania: After the Genome By Peter J. Myler, Nicolas Fasel, Pages 2-3.